The ‘acceptable’ noise level is
1. 85 dB
2. 90 dB
3. 95 dB
4. 100 dB

Correct answer: 1. 85 dB